Phase I blocker is
1. Suxamethonium
2. Atracurium
3. Gallamine
4. D-Tubocurare

Correct answer: 1. Suxamethonium

Explanation: The kind of depolarizing block produced by succinyl choline is phase I block. ref: KD Tripathi 8th ed.